Storage form of thyroid hormone -
1. Tri-iodo tyrosine
2. Tri - iodo tyronine
3. Thyroglobulin
4. Di-iodo thyrosine

Correct answer: 3. Thyroglobulin